Which approach of brachial plexus block targets cords of the brachial plexus:-
1. Infraclavicular
2. Supraclavicular
3. Axillary
4. All

Correct answer: 1. Infraclavicular

Explanation: The brachial plexus is formed by theventral ramiofC5-C6-C7-C8-T1, occasionally with small contributions byC4andT2. There are multiple approaches to blockade of the brachial plexus, beginning proximally with the interscalene block and continuing distally with the supraclavicular, infraclavicular, and axillary blocks. The concept behind all of these approaches to the brachial plexus is the existence of a sheath encompassing the neurovascular bundleextending from thedeep cervical fasciato slightly beyond the borders of the axilla. interscalene approach targets roots supraclavicular targets trunks /division infraclavicular targets cords